Long chain fatty acid transported into inner mitochondria membrane by:
1. Acyl carrier protein
2. Acyl carnitine
3. Simple diffusion
4. Energy mediated

Correct answer: 2. Acyl carnitine

Explanation: Ans. B. Acyl carnitineDuring oxidation of fatty acids in mitochondria:a. Long chain fatty acids penetrate the inner mitochondrial membrane as carnitine derivatives.b. Carnitine is synthesized from lysine and methionine in liver and kidney.c. Activation of lower acids and their oxidation within the mitochondria may occur independently of carnitine.d. But, Long chain Acyl CoA activated long chain fatty acids will not penetrate the inner membrane ofe. mitochondria and become oxidized unless they form acyl carnitine.